Asthenosperima means :
1. Failure of the formation of sperms
2. No spermatozoa in the semen
3. Reduction in the motility of sperms
4. Sperm count less than 20 million / ml of semen

Correct answer: 3. Reduction in the motility of sperms

Explanation: Reduction in the motility of sperms